All of the following are true about the middle ear activity except
1. Roof is formed by tegmen tympani
2. Anterior wall has opening of two canals
3. Medial wall is formed by tympanic membrane
4. Floor has bulb of internal jugular vein

Correct answer: 3. Medial wall is formed by tympanic membrane

Explanation: RELATIONS OF MIDDLE EAR: ROOF-Tegmen tympani FLOOR-Internal jugular vein ANTERIOR WALL-Internal carotid artery, canal for tensor tympani, tubal opening POSTERIOR WALL-Facial canal, aditus to antrum, MEDIAL WALL-Tympanic plexus, promontory, oval window, round window, pyramid LATERAL WALL-Tympanic membrane,chorda tympani nerve, incus, malleus Ref BDC volume 3,sixth edition